A 28-year-old man has lenticonus and ESRD. His maternal uncle also died of similar illness. What is the diagnosis?
1. Autosomal recessive polycystic kidney disease
2. Autosomal dominant polycystic kidney disease
3. Oxalosis
4. Alport's syndrome

Correct answer: 4. Alport's syndrome

Explanation: Alport Syndrome - 1. Classic AS - X-linked disorder- hematuria, sensorineural deafness, and lenticonus 2.A subtype of the X-linked form associated with diffuse leiomyomatosis 3.An autosomal recessive form 4.An autosomal dominant form. Both autosomal recessive and dominant forms can cause renal disease without deafness or lenticonus. Mutations in chains of type IV collagen (COL4A3, COL4A4, COL4A5, and COL4A6).